The most recommended technique of gingivectomy is by means of
1. chemicals
2. lasers
3. electrodes
4. Scalpels

Correct answer: 4. Scalpels